The commonest cause of lung abscess ?
1. Tuberculosis
2. Congenital
3. Hematogenous
4. Aspirated oropharyngeal secretion

Correct answer: 4. Aspirated oropharyngeal secretion

Explanation: Ans. is `d.' i.e., Aspirated oropharyngeal secretion Lung abscess o The term pulmonary abscess describes a local suppurative process within the lung, characterized by necrosis of lung tissues. Etiology o Aspiration is the most common cause, factors that portend an increase risk of aspiration include esophageal dysmotility, seizure disorders, and neurological conditions causing bulbar dysfunction. o As aspiration of oropharyngeal secretions is the most common cause, organisms most commonly causing lung abscess are those normally found in oral cavity, i.e., Anaerobic bacteria (Bacteroides, Fusobacterium, peptococcus species). Other organisms are S. aureus, Klebsiella, Nocardia and gram negative bacteria. Morphology o Pulmonary abscesses due to aspiration are more common on the right side because of the more vertical direction of right main bronchus. o Most often abscess is single. o The cardinal histologic change in all abscesses is suppurative destruction of the lung parenchyma within the central area of cavitation. Lung abscess o The term pulmonary abscess describes a local suppurative process within the lung, characterized by necrosis of lung tissues. Etiology o Aspiration is the most common cause, factors that portend an increase risk of aspiration include esophageal dysmotility, seizure disorders, and neurological conditions causing bulbar dysfunction. o As aspiration of oropharyngeal secretions is the most common cause, organisms most commonly causing lung abscess are those normally found in oral cavity, i.e., Anaerobic bacteria (Bacteroides, Fusobacterium, peptococcus species). Other organisms are S. aureus, Klebsiella, Nocardia and gram negative bacteria. Morphology o Pulmonary abscesses due to aspiration are more common on the right side because of the more vertical direction of right main bronchus. o Most often abscess is single. o The cardinal histologic change in all abscesses is suppurative destruction of the lung parenchyma within the central area of cavitation.